Negative skived distribution has
1. Mean = median = mode
2. Mean > median > mode
3. Mode > median > mean
4. No correlation

Correct answer: 3. Mode > median > mean

Explanation: Normal distribution has ⇒ Mean - Median = mode.
Positive skewed distribution or Right side skewed has ⇒ Mean > median > mode.
Negative / deft side skewed distribution has ⇒ Mean < median < mode.